Gastrosplenic Ligament contains -
1. Splenic vessels
2. Tail of pancreas
3. Short gastric artery
4. Portal vein

Correct answer: 3. Short gastric artery

Explanation: Ans. is 'c' i.e., Short gastric arteryPeritoneal ligamentsGastrosplenic ligamentIt extends from hilum of spleen to greater curvature of stomach. It contains short gastric and left gastroepiploic vessels. It develops from dorsal mesogastrium.Linorenal ligamentIt extends from hilum of spleen to anterior surface of left kidney. It contains splenic vessels and tail of pancreas. It develops from dorsal mesogastrium.Gastrophrenic ligamentIt connects the greater curvature of stomach to diaphragm. It develops from dorsal mesogastrium.Pkrenicocoiic ligamentIt connects left colic (splenic) flexure to diaphragm. It supports the anterior border of spleen.Falciform ligamentIt is a sickle shaped peritoneal fold connecting anterosuperior surface of liver to anterior abdominal wall and diaphragm. It demarcates the right and left lobes of liver. It contains ligamentum teres (remnant of left umblical vein) and paraumblical vein. It develops of ventral mesogastrium (ventral part).Coronary ligaments It contains superior and inferior layers which connect liver to diaphragm, and encloses the triangular 'bare area of liver'. It develops from ventral mesogastrium.Triangular ligaments (a right and a left)These connect right and left lobes of liver to diaphragm. It develops from ventral mesogastrium.